Cotton fever is due to the abuse of:
1. Amphetamine
2. Heroin
3. Phencylidine
4. Cocaine

Correct answer: 2. Heroin

Explanation: COTTON FEVER : Fever developing due to injection of a water extract of the cotton remaining after the heroin supply is used in a "bag"